Indicated treatment of thyrotoxicosis in case of pregnancy:
1. Radioactive iodine.
2. Antithyroid drugs.
3. Surgery.
4. Any of the above.

Correct answer: 2. Antithyroid drugs.